Vitamin B1 is required for which reaction
1. Transamination
2. Oxidative decarboxylation
3. Carboxylation
4. All of the above

Correct answer: 2. Oxidative decarboxylation

Explanation: Ans. is 'b' i.e.,Oxidative decarboxylation Active form (coenzyme form) of thiamine is thiamine pyrophosphate (TPP), also called thiamine diphosphate (TDP).TPP acts as coenzyme forOxidative decarboxylation:- Pyruvate dehydrogenase, a-ketoglutarate dehydrogenase, brached-chain keto acid dehydrogenase.Transketolase in PPP.